A person laughs to a joke, then suddenly loses tone of all muscles. Diagnosis is:
1. Cataplexy
2. Catalepsy
3. Sleep attack
4. Sleep paralysis

Correct answer: 1. Cataplexy

Explanation: Ans. Cataplexy